Mutation of STK II / LKB I gene results in
1. Peutz Jegher's syndrome
2. Cowden syndrome
3. Familial adenomatous polyposis
4. HNPCC

Correct answer: 1. Peutz Jegher's syndrome

Explanation: . Peutz Jegher's syndrome